Cerebrosides consist mostly of this
1. Glucose
2. Galactose
3. Fructose
4. Arabinose

Correct answer: 2. Galactose

Explanation: Both glucocerebrosides and galacto cerebrosides are present however galactocerebrosides are most commonly seen on neural cells and are abundant